An obese patient has heavy, thick hones. A good X-ray is taken with:
1. Increase in mA
2. Increase in KVP
3. Increased exposure time
4. Increased developing time

Correct answer: 2. Increase in KVP

Explanation: Ans. Increase in KVP